DOC for chemoprophylaxis of plague-
1. Tetracycline
2. Erythromycin
3. Vancomycin
4. Streptomycin

Correct answer: 1. Tetracycline